Labour is termed as precipitate if it occurs under:
1. 1 hour
2. 2 hours
3. 1/2 hours
4. 4 hours

Correct answer: 2. 2 hours

Explanation: 2 hours